Ujjwala scheme is for prevention of
1. Child abuse
2. Child labour
3. Child trafficking
4. Child marriage

Correct answer: 3. Child trafficking

Explanation: UJJAWALA SCHEME:

Description: A Comprehensive Scheme for Prevention of Trafficking and Rescue, Rehabilitation and Re-integration of Victims of Trafficking for Commercial sexual exploitation
Ministry: Ministry of Women and Child Development
Launch: 4th December 2007

Target Group/ Beneficiaries (V-V): Women and children, who are
– Vulnerable to trafficking for commercial sexual exploitation
– Victims of trafficking for commercial sexual exploitation
Main Components 
– Prevention
– Rescue
– Rehabilitation
– Re-Integration
– Repatriation (Cross-border)